Most sensitive investigation for abdominal trauma in a hemodynamically stable patient is-
1. CT Scan
2. Ultrasonography
3. Diagnostic peritoneal lavage
4. MRI

Correct answer: 1. CT Scan

Explanation: Ans. is 'a' i.e., CT Scan Investigations to rule out abdominal injury in trauma patient* Investigations are driven by the cardiovascular status of the patient.* Blood loss into the abdomen can be subtle and there may be no clinical signs (blood is not an irritant and may not initially cause any abdominal pain). If stable, the best and most sensitive modality is a CT scan with intravenous contrast; however, in the unstable patient, this is generally not possible.A) Hemodynamically stable patient - CT with contrastB) Hemodynamically unstable -# Provision for FAST available and reliable operator - FAST# Provision for FAST unavailable and/ or unreliable operator - Diagnostic peritoneal lavage